Antidote of paracetamol is
1. N-acetylcysterine
2. Methylene blue
3. EDTA
4. No effective antidote known

Correct answer: 1. N-acetylcysterine

Explanation: N-acetylcysteine is the antidote of paracetamolParacetamol is extensively metabolized in the liver to form principally the sulfate and glucuronide conjugates which are excreted in the urine. A small fraction of an ingested dose is metabolized in the liver by isozyme CYP2E1 of the cytochrome P-450 mixed function oxidase enzyme system to form a reactive, potentially toxic, intermediate metabolite. The toxic metabolite preferentially conjugates with hepatic glutathione to form nontoxic cysteine and mercapturic acid derivatives, which are then excreted by the kidney.However, following ingestion of a large overdose, the glucuronide and sulfate conjugation pathways are saturated resulting in a larger fraction of the drug being metabolized the cytochrome P-450 pathway and therefore, the amount of acetaminophen metabolized to the reactive intermediate increases. The increased formation of the reactive metabolite may deplete the hepatic stores of glutathione with subsequent binding of the metabolite to protein molecules within the hepatocyte resulting in cellular necrosis.N-acetylcysteine replenishes the glutathione stores of liver and prevents binding of the toxic metabolite to other cellular constituents(ref: Goodman Gilman 11/e p694)